Hyaline in islets of Langerhans resemble -
1. Mucin
2. Amyloid
3. Glycolipid
4. Phospholipid

Correct answer: 2. Amyloid